Modified BPS consists of :
1. NST with AFI
2. NST with fetal breathing
3. NST with fetal movement
4. NST with fetal tone

Correct answer: 1. NST with AFI

Explanation: Modified biophysical score consists of NST or vibroacoustic non stress test and estimation of amniotic fluid volume using AFI. It takes 10 minutes to perform the score and is used as screening test. Ref: Williams Obs 24e pg 342-344.